Pulsatile proptosis is a feature of -
1. Orbital varix
2. Retinoblastoma
3. Cortico-cavernous fistula
4. Covernous sinus thrombosis

Correct answer: 3. Cortico-cavernous fistula

Explanation: Pulsatile proptosis is seen in caroticocavernous fistula and saccular aneurysm of ophthalmic artery.it also occurs due to transmitted cerebral pulsations in conditions associated with deficient orbital roof. Ref .ak khurana 6th edition pg no 404 REF IMG